DOC for chemotherapy induced vomiting is?
1. Graneseteron
2. Prazosin
3. Clonidine
4. Diphenyhydramine

Correct answer: 1. Graneseteron

Explanation: Granisetron: Serotonin 5-HT3 receptor antagonist. Used as an antiemetic treating nausea & vomiting following chemotherapy & radiotherapy. Main effect: These drugs antagonize the 5HT3 receptor present in CTZ area which is stimulated on release of 5HT during cancer therapy. Prazosin is alpha blocker used in BPH. Clonidine is alpha agonist used in hypertension. Diphenyhydramine is first generation antihistaminic